A person was presented with swelling of the salivary gland. Mild pain was felt by him.Investigation of choice.
1. FNAC
2. Incisional biopsy
3. X ray
4. Excisional biopsy

Correct answer: 1. FNAC

Explanation: Here the most accurate answer is FNAC. The first investigation which is done is FNAC. It can be guided by ultrasound as it demonstrates if the lump is intrinsic to parotid or not. Open surgical biopsy is contraindicated unless evidence of gross malignancy is present. Reference : Bailey & love, 27th Edition, page no = 789.